Passive in a sexual relationship where a young partner boy and man are involved:
1. Catamite
2. Dyke
3. Pedarast
4. Sodomast

Correct answer: 1. Catamite

Explanation: Ans. Catamite